Therapeutic monitoring of plasma level of drug is done when using all of the following drugs except
1. Warfarin
2. Gentamicin
3. Cyclosporine
4. Phenytoin

Correct answer: 1. Warfarin

Explanation: Ans. (A) Warfarin(Ref: KDT 8th/e p42)Therapeutic drug monitoring is not required for oral anticoagulants like warfarin. The effect of warfarin is monitored by measuring prothrombin time or INR (International Normalized Ratio).